The chief surgeon planned to perform a midline laparotomy for right hemicolectomy for a carcinoma caecum. You were asked to clean, paint and drape for the operation. You will clean which part of the body for the operation
1. Nipple to mid thigh including genitalia
2. Epigastrium to pubic symphysis
3. Chin to pubic symphysis
4. Epigastrium to mid-thigh including genitalia

Correct answer: 1. Nipple to mid thigh including genitalia

Explanation: Ans. (a) Nipple to Midthigh including Genitalia(Ref: Practice Guidelines, Pye's Surgical Handicrafts)* This is another practical question- For midline laparotomy always we paint from Both nipple level to mid thigh.